↑Ca2+ in Ca lung is seen in Ca –
1. Adeno
2. Squamous
3. Small cell
4. Large cell

Correct answer: 2. Squamous